In portal venous system, valves are present at
1. The junction of superior mesentric artery with the splenic artery
2. Within the portal vein only
3. In the intrahepatic portion of portal vein
4. The whole system is valveless

Correct answer: 4. The whole system is valveless

Explanation: D i.e. The whole system is valvelessLike vena Cava, the portal vein and its tributaries are without valvesQ. The normal pressure in portal vein is 3-5 mmHg and the increase in venous pressure is distributed throughout the splanchenic circulation.